Concentrated alcohol-based antiseptic for skin preparation of the operative site leads to
1. >95% reduction in bacterial count
2. >50% reduction in bacterial count
3. <50% reduction in bacterial count
4. Contraindicated for operative site

Correct answer: 1. >95% reduction in bacterial count

Explanation: One application of a more concentrated alcohol-based antiseptic is adequate for skin preparation of the operative site.This leads to a >95% reduction in bacterial countCaution should be taken not to leave a pool of alcohol-based fluid on the skin which could ignite with diathermy and burn the patient.Ref: Bailey and Love 27e pg: 52